Antidepressant drug is:
1. Pimozide
2. Haloperidol
3. Thioridazine
4. Citalopram

Correct answer: 4. Citalopram

Explanation: Classification I Reversible inhibitors of MAO-A (RIMAs) Moclobemide, Clorgyline II. Tricyclic antidepressants (TCAs) NA + 5-HT reuptake inhibitors Imipramine, Amitriptyline, Trimipramine, Doxepin, Dothiepin, Clomipramine B. Predominantly NA reuptake inhibitors Desipramine, Nortriptyline, Amoxapine, Reboxetine Ill. Selective serotonin reuptake inhibitors (SSRis) Fluoxetine, Fluvoxamine, Paroxetine, Sertraline, Citalopram, Escitalopram IV. Atypical antidepressants Trazodone, Mianserin, Mirtazapine, Venlafaxine, Duloxetine, Tianeptine, Amineptine, Bupropion Ref: K D Tripathi 8th edition